True about juvenile nasopharyngeal angiofibroma -a) Surgery is treatment of choiceb) It is malignant tumourc) ↑Incidence in femalesd) Hormones not used in Rxe) Miller's sign positive
1. a
2. b
3. ae
4. ad

Correct answer: 3. ae

Explanation: JNA is a benign tumor.
It occurs almost exclusively in males.
Hormones are used in the treatment


Preoperative estrogen to reduce the vascularity
As the primary or adjunctive treatment → Flutamide can be used


Antral sign or Holman - Miller sign is pathognomic of NFA.
Surgery is the treatment of choice.